True about carcinoma larynx -
1. Glottis is most common site
2. Rarely presents with metastasis
3. Adenocarcinoma is commonest type
4. Responds to chemotherapy very well

Correct answer: 1. Glottis is most common site